Delamanid is used for the treatment of
1. Tuberculosis
2. Leprosy
3. Malaria
4. Trypanosoma

Correct answer: 1. Tuberculosis

Explanation: Delamanid is given to adults with multi-drug resistant (MDR) TB. It is the first in a new class of TB drugs called nitroimidazoles. other new drug in TB is Bedaquiline. Ref: KD Tripathi 8th ed.